Commonest site of metastasis of Wilm's tumour is -
1. Bones
2. Lungs
3. Liver
4. Brain

Correct answer: 2. Lungs